Active transport and facilitated diffusion share which of the following characteristic:
1. Competitive inhibition does not occur
2. Requires non-specific carrier protein
3. Transport solute against concentration gradient
4. Follows Michaelis Menten kinetics

Correct answer: 4. Follows Michaelis Menten kinetics

Explanation: Active transport and facilitated diffusion both are carrier mediated transport exhibits saturation kinetics or Michaelis Menten kinetics, specificity (i.e; specific carrier protein is required to transport specific solute across the plasma membrane) and competitive inhibition. Facilitated diffusion is passive transport and does not requires ATP.